A patient is on low calcium diet for 8 weeks. Level of which of the following increases to maintain serum calcium levels?
1. PTH
2. Calcitonin
3. Active 24, 25 dihydroxy cholecalciferol
4. Serum phosphate level

Correct answer: 1. PTH

Explanation: The primary function of PTH is to maintain the extracellular fluid (ECF) calcium concentration within a narrow normal range. The hormone acts directly on bone and kidney and indirectly on the intestine through its effects on synthesis of 1,25(OH)2D to increase serum calcium concentrations; in turn, PTH production is closely regulated by the concentration of serum ionized calcium. Any tendency toward hypocalcemia, as might be induced by calcium-deficient diets, is counteracted by an increased secretion of PTH. This in turn (1) increases the rate of dissolution of bone mineral, thereby increasing the flow of calcium from bone into blood; (2) reduces the renal clearance of calcium, returning more of the calcium filtered at the glomerulus into ECF; and (3) increases the efficiency of calcium absorption in the intestine by stimulating the production of 1,25(OH)2D. Ref: Potts, J.T., Juppner H. (2012). Chapter 353. Disorders of the Parathyroid Gland and Calcium Homeostasis. In D.L. Longo, A.S. Fauci, D.L. Kasper, S.L. Hauser, J.L. Jameson, J. Loscalzo (Eds), Harrison's Principles of Internal Medicine, 18e